The commonest cause of acute pancreatitis is -
1. Biliary calculi
2. Alcohol abuse
3. Infective
4. Idiopathic

Correct answer: 1. Biliary calculi